In which one of the following types of carcinoma of the breast, is a biopsy of the opposite breast advised ?
1. Inflammatory carcinoma
2. Medullary carcinoma
3. Lobular carcinoma
4. Scirrhous carcinoma

Correct answer: 3. Lobular carcinoma

Explanation: Ans. is 'c' i.e., Lobular CarcinomaLobular carcinomas have a greater incidence of bilaterality.